Which one of the following health agencies promotes GOBI programme?
1. UNDP
2. WHO
3. UNESCO
4. UNICEF

Correct answer: 4. UNICEF